If posterior teeth on the left side contact occlusally during a right lateral excursion of the mandible, the left side occlusal contact would be referred to as:
1. Laterotrusive contact.
2. Protrusive contact.
3. Mediotrusive contact.
4. Centric relation.

Correct answer: 3. Mediotrusive contact.

Explanation: Mediotrusive contact, but may be called a nonworking (balancing) contact.